In acute sinusitis, the sinus most often involved in children is:
1. Maxillary
2. Sphenoid
3. Ethmoid
4. Frontal

Correct answer: 3. Ethmoid

Explanation: Most common sinusitis in children is Ethmoid. Most common sinusitis in adults is Maxillary.